Auditory transmission is :
1. Lateral lemniscus
2. Medial lemniscus
3. Lateral geniculate body
4. Frontal cortex

Correct answer: 1. Lateral lemniscus

Explanation: A i.e. Lateral leminiscus I. Auditory pathway: SC-SLIM-41,42 II. S- Spiral ganglia (cochlea) III. C- Cochlear nuclei (ponto-medullary junction) IV. S-Superior olivary nucleus (pons) V. L-Lateral lemniscus (brain stem) VI. I-Inferior colliculus (mid-brain) VII. M-Medial geniculate body (meta-thalamus) VIII. 41,42 - Brodmann area (cerebral cortex)